Which of the following is cariogenic
1. Fluoride
2. Selenium
3. Strontium
4. Molybdenum

Correct answer: 2. Selenium